Which one of the following muscles of thumb is not supplied by median nerve
1. Adductor pollicis brevis
2. Flexor pollicis brevis
3. Opponens pollicis
4. Abductor pollicis brevis

Correct answer: 1. Adductor pollicis brevis

Explanation: -in the palm, the median nerve flattens at the distal border of the flexor retinaculum and divides into lateral and medial divisions. The lateral division gives a recurrent branch that curls upwards to supply the thenar muscles except for the deep head of flexor pollicis brevis. Thenar muscles are abductor pollicis brevis, flexor pollicis brevis and opponents policies Mnemonic Median nerve innervates hand muscles like The LOAF muscles Lumbricals 1 & 2 Opponens pollicis Abductor pollicis brevis Flexor pollicis brevis -Reference: Textbook of anatomy, Upper limb and thorax, Vishram Singh, 2nd edition, page no.144,177 Figure: 9.41,page no: 126- BD chaurasia , 6th edition